Choking is characteristic of the following weapon:
1. Revolver
2. Pistol
3. Shotgun
4. Rifle

Correct answer: 3. Shotgun

Explanation: The choking lessens the rate of spread of shot after it leaves the muzzle, increases the explosive force and increases the velocity. Shotguns have variable choke adapters. Different degrees are known as full-choke, half-choke and quaer-choke or improved cylinder. Ref ; Narayana reddy 33rd ed.